Which is not an inflammatory stage in pneumonia
1. Organisation
2. Congestion
3. Resolution
4. Hepatisation

Correct answer: 1. Organisation

Explanation: Ans. is 'a' i.e., Organisation